Which is the most common mutation in Hereditary spherocytosis
1. Glycophorin
2. Band 3
3. Ankyrin
4. Spectrin

Correct answer: 3. Ankyrin

Explanation: Ankyrin mutation is most common in HS. Spectrin mutation correlates with severity of anemia in HS.